In a person with normal kidneys and normal lungs who has chronic metabolic acidosis, you would expect to find all of the following, compared with normal, except:
1. Increased renal excretion of NH4Cl
2. Decreased urine pH
3. Decreased urine HCO3- excretion
4. Increased plasma HCO3- concentration

Correct answer: 4. Increased plasma HCO3- concentration

Explanation: Chronic metabolic acidosis : is, by definition, associated with Decreased HCO3- Increased excretion of NH4Cl occurs with renal compensation for the acidosis Respiratory compensation for the acidosis increases the ventilation rate, resulting in Decreased plasma Pco2.